Mutton fat keratic precipitate and Busacca nodules is seen in -
1. Granulomatous uveitis
2. Non-granulomatous uveitis
3. Posterior uveitis
4. Choroiditis

Correct answer: 1. Granulomatous uveitis

Explanation: The pathological reaction in granulomatous uveitis is characterised by infiltration with lymphocytes, plasma cells, with mobilization and proliferation of large mononuclear cells which eventually become epithelioid and giant cells and aggregate into nodules. Iris nodules are usually formed near pupillary border (Koeppe's nodules). and sometimes near collarette (Busacca nodule). Similar nodular collection of the cells is deposited at the back of cornea in the form of mutton fat keratic precipitates.